HHV-6B causes ?
1. Carcinoma cervix
2. Carcinoma endometrium
3. Clear cell carcinoma
4. Focal encephalitis

Correct answer: 4. Focal encephalitis

Explanation: Ans is 'd' i.e., Focal encephalitis . HHV-6 has two variants --> 'A' and 'B'. . HHV- 6 `B' causes i) In children --> Exanthem subitum(roseola infantum or sixth disease) ii) In older age groups -4 Infectious mononucleosis, focal encephalitis iii) In immunodeficient ---> Pneumonia, Disseminated disease